Portal vein is formed by the union of
1. Splenic and inferior mesentric veins
2. Splenic and superior mesentric veins
3. Right and left hepatic veins
4. Hepatic and splenic veins

Correct answer: 2. Splenic and superior mesentric veins

Explanation: The portal vein is usually formed by the confluence of the superior mesenteric and splenic veins and also receives blood from the inferior mesenteric, gastric, and cystic veins. Ref - BDC 6e vol2 pg282